Drug which is useful in neuronal diabetes inspidus in both children and adults given intra nasally -
1. Vasopressin
2. Desmopressin
3. Lypressin
4. Presselin

Correct answer: 2. Desmopressin

Explanation: Ans. is 'b' i.e., Desmopressin Desmopressin (intranasal) is the DOC for central DI.